A 8.5-year-old child with missing 11 reported to your clinic. 21 erupted at 6.5 years of age. The child had trauma to 21, 4 months back and got it endodontically treated for that. What is your further treatment about missing teeth?
1. Take radiograph and rule out a supernumerary tooth
2. Plan RPD
3. Advise FPD
4. Do orthodontic treatment, create space and plan FPD

Correct answer: 1. Take radiograph and rule out a supernumerary tooth

Explanation: In question patient is of 8.5 years of age with missing right maxillary central incisor and has his Maxillary left Central Incisor Erupted on Schedule.

Now non-eruption of a tooth beyond normal possible age of eruption while the contralateral tooth is being erupted on usual time can be due to its presence in impacted state or it can be congenitally missing.
To rule out of these conditions radiographic examination is essential
If tooth is impacted due to presence of any supernumerary tooth or due to any other region or tooth is congenitally missing we can plan further treatment with that situation.